In a patient with severe aortic Stenosis which of the following anesthetic techniques is least preferred:
1. Propofol induction
2. Etomidate induction
3. Spinal anesthetic with 15 mg bupivacaine
4. Epidural anesthesia with 2 % lidocaine

Correct answer: 3. Spinal anesthetic with 15 mg bupivacaine

Explanation: Spinal anesthesia is an absolute contra-indication in severe heart disease as it can cause severe hemodynamic instability Etomidate is cardio vascular stable Propofol can be used with caution in patients with severe heart disease Epidural anesthesia can be used with caution in patient with severe heart disease